The structural abnormality of chromosome in which one arm is lost and remaining arm is duplicated is called:
1. Ring chromosome
2. Isochromosome
3. Translocation
4. Mutation

Correct answer: 2. Isochromosome

Explanation: b. Isochromosome(Ref: Nelson's 20/e p 590', Ghai 8/e p 637)Iso-chromosome results when 1 arm of a chromosome is lost and the remaining arm is duplicated or when the axis of division occurs perpendicular to the normal axis of division.